"Goitre is prevalent at higher altitude", is an example of -
1. Direct association
2. Indirect association
3. Causal association
4. Temporal association

Correct answer: 2. Indirect association

Explanation: Endemic goiter is generally found in high altitude showing thereby an association between altitude and endemic goiter. We know that endemic goiter is not due to altitude but due to environmental deficiency of iodine. Ref: 25th edition, Park's Textbook of Preventive and Social Medicine, Page no. 96